Wood's lamp light is used in the diagnosis of :
1. Tinea capitis
2. Candida albicans
3. Histoplasma
4. Cryptococcos

Correct answer: 1. Tinea capitis

Explanation: A i.e. Tinea Capitis